The value between 1st pentile and 4th pentile includes -
1. 20%
2. 40%
3. 60%
4. 80%

Correct answer: 3. 60%